Retina is derived from
1. surface ectoderm
2. neural ectoderm
3. mesoderm
4. endoderm

Correct answer: 2. neural ectoderm

Explanation: BASIC ANATOMY * Retina is the light sensitive tissue of the eye * Derived from neural ectoderm. * Extends from optic disc to ora serrata * Embryologically derived into two parts * Outer Pigmented Layer: Forms RPE (6th week) Inner neural layer: Neurosensory retina(40th week) LAYERS OF RETINA 1. Inner limiting membrane 2. Nerve fiber layer 3. Ganglion cell layer 4. Inner plexiform layer 5. Inner nuclear layer 6. Outer plexiform layer 7. Outer nuclear layer 8. External limiting membrane 9. Photoreceptor layer 10. Retinal pigment epithelium.